Regarding Ganser's syndrome true is
1. Repeated lying
2. Approximate answers
3. Unconscious episodes
4. Malingering

Correct answer: 2. Approximate answers

Explanation: B i.e. Approximate answers